Peripheral arterial occlusion (Sudden onset) is characterized by all except -
1. Paresthesia
2. Rubor
3. Pallor
4. Pain

Correct answer: 2. Rubor